Bitemporal hemianopia caused by
1. Pituitary adenoma
2. Basal meningioma
3. Corpus callosal tumor
4. Nasopharyngeal carcinoma

Correct answer: 1. Pituitary adenoma

Explanation: (A) Pituitary adenoma# Bitemporal hemianopia occurs due to pressure or lesion of optic chiasma, so that the nerve fibres going to nasal half of each retina are destroyed.> The various causes are pituitary body tumor, craniopharyngioma, suprasellar aneurysm, gliomas of third ventricle, ectopic pine alomas, dermoid tumours etc.